Cozens test is used to detect -
1. Golfer's Elbow
2. Tennis Elbow
3. Baseball pitcher's elbow
4. Posterior dislocation of elbow

Correct answer: 2. Tennis Elbow

Explanation: Ans. is 'b' i.e., Tennis Elbow Signs and Tests o Adson's test: for thoracic outlet syndrome o Allen's test: for testing patency of radial and ulnar arteries o Alli's test: for CDH o Anvil test: for testing tenderness of the spine o Ape thumb: for median nerve injury o Apley's grinding test: for meniscus injury o Apprehension test: for recurrent dislocation of the shoulder o Barlow's test: for CDH o Blue sclera: Osteogenesis imperfect o Bryant's test: for anterior dislocation of the shoulder o Callways' test: for anterior dislocation of the shoulder o Chovstek's sign: for tetany o Claw hand: for ulnar nerve injury o Coin test: for dorso lumbar tuberculosis of spine o Cozen's test: for tennis elbow o Drawer test: for ACL and PCL injutries # Anterior: for ACL injury # Posterior: for PCL injury o Finkelstein's test: for de Quervain's tenovaginitis o Foot drop: for common peroneal nerve injury o Froment's sign: for ulnar nerve injury o Gaenslen's test: for SI joint involvement o Galleazzi sign: for CDH o Gower's sign: for musular dystrophy o Hamilton ruler test: for anterior dislocation of the shoulder o Kanavel's sign: for infection in ulnar bursa o Lasegue's test: for disc prolapsed o Lachmann test: for ACL injury o Ludloffs sign: for avulsion of lesser trochanter o McMurray's test: for meniscus injury o Nagffziger test: for disc prolapsed o Ober's test: for tight ilio- tibial band (e.g., in polio) o O' Donoghue triad: traid of MCL, ACL & medial meniscus injuries occurring together o Ortolani's test: for CDH o Pivot shift test: for ACL injury o Policeman tip: for Erb's palsy o Runner's knee: Patellar tendinitis o Sulcus sign: for inferior dislocation of the shoulder o Thomas' test: for hip flexion deformity o Trendelenburg's test: for unstable hip due to any reaseon (e.g., CDH) o Tinel's sign: for detecting improving nerve injury o Volkmann's sign : for ischaemic contracture of forearm muscles o Wrist drop : for radial nerve injury